All the following are features of Tropical pulmonary Eosinophilia except-
1. Eosinophilia > 3000/mm3
2. Microfilaria in blood
3. Paroxysmal cough and wheeze
4. Bilateral chest mottling and increased bronchovascular markings

Correct answer: 2. Microfilaria in blood

Explanation: Answer is B (Microfilaria in blood) : In TPE, Microfilaria are rapidly cleared from the blood stream by the lungs. Thus, microfilariae are sequestrated in the lungs and are not found in the blood. Tropical Pulmonary Eosinophilia Tropical Pulmonary Eosinophilia (TPE) is a distinct syndrome that develops in individuals infected with Lymphatic filarial species. Clinical symptoms result from allergic and inflammatory reaction elicited by the cleared parasites. Features of Tropical Pulmonary eosinophilia (TPE) : Male more commonly affected than females (4: 1) History of resistance in filarial endemic region Paroxysmal cough and wheezing that are usually nocturnal Weight loss, low grade fever, adenopathy Eosinophilia > 3000 eosinophilia / ,uLe Chest X-Ray : increased bronchovascular markings , diffuse miliary lesions , or mottled opacities. Restrictive changes on Pulmonary function test 2 Elevated levels of IgE e & Antifilarial antibody titers. In TPE, Microfilaria are rapidly cleared from the blood stream by the lungs. Thus, microfilariae are sequestrated in the lungs and are not found in the blood.